In which of the following conditions bilateral contracted kidneys are characterized seen
1. Amyloidosis
2. Diabetes mellitus
3. Rapidly progressive glomerulonephritis
4. Benign nephrosclerosis

Correct answer: 4. Benign nephrosclerosis

Explanation: Causes of contracted kidneys ; Chronic glomerulonephrits Benign nephrosclerosis Chronic pyelonephrits